Cofactor involved in metabolism of sulfur containing amino acids:
1. Biotin
2. Vitamin B2
3. Vitamin B1
4. Vitamin B12

Correct answer: 4. Vitamin B12

Explanation: Methionine (S-containing) metabolism requires three vitamins :- Pyridoxine (vitamin B6) Folate (vitamin B9) Cobalamin (vitamin B12). EXTRA EDGE: Defect in the metabolism of sulfur-containingaminoacids (homocysteine) due to the deficiency of cystathionine-b-synthase leads to homocystinuria and increases cardiovascular risk. Homocysteine is highly cytotoxic and elevated levels within the bloodstream are believed to damage the endothelial lining of arterial vessels,leading to intravascular coagulation.